Which does not catalyzes irreversible in glycosis?
1. a) Hexokinase
2. b) Phosphoglycerate kinase
3. c) Pyruvate kinase
4. d) Phosphofructokinase

Correct answer: 2. b) Phosphoglycerate kinase

Explanation: Irreversible steps are catalyzed by- glucokinase, phosphofructokinase, pyruvate kinase.